Pseudolymphoma is seen in ?
1. Sjogren's syndrome
2. SLE
3. Mixed connective tissue disease
4. Behcet's syndrome

Correct answer: 1. Sjogren's syndrome

Explanation: Answer is 'a' i.e. Sjogren's syndrome